Basal ganglia calcification is seen in all except -
1. Hypoparathyroidism
2. Wilson's disease
3. Perinatal hypoxia
4. Fahr's syndrome

Correct answer: 2. Wilson's disease

Explanation: Wilson disease does not cause basal ganglia calcification. All other three options are causes of basal ganglia calcification